Incomplete fractures are called as
1. Woodcrumble fractures
2. Compression fractures
3. Greenstick fractures
4. Salter fractures

Correct answer: 3. Greenstick fractures

Explanation: Although in adults, the fracture line is generally complete, i.e. it extends through both cortices, in children the different mechanical qualities of the bone may lead to other patterns, in which the fracture line is incomplete. These are termed torus and greenstick fractures.